The fifth generation amalgam included?
1. Silver, copper, tin
2. Silver, copper, zinc, tin, indium
3. Silver, copper, tin, indium
4. Silver, copper, tin, palladium

Correct answer: 3. Silver, copper, tin, indium

Explanation: The alloying of silver, copper, tin and indium together creating a quaternary alloy in which almost none of the tin is available to react with the mercury when mixed with the powder, was the 5th generation amalgam to be developed.
Reference: Marzouk Operative dentistry, pg-106